Schiller-Duval bodies are characteristically seen in
1. Dysgerminoma
2. Brenner's Tumor
3. Teratoma
4. Endodermal Sinus Tumor

Correct answer: 4. Endodermal Sinus Tumor

Explanation: Inclusion bodiesDiseasesAschoff bodies Rheumatic fever Asteroid body Sarcoidosis & Sporotrichosis Babes Ernst granules Corynebacterium diphtheriaBodies of Arantius Aortic valve nodules Body of Highmore Mediastinum testis Bollinger bodies Fowl pox Brassy body Dark shrunken blood corpuscles in malaria Call Exner bodies Granulose theca cell tumourChromatid bodies Entamoeba histolytica pre-cyst Citron bodies Clostridium septicum Civatte bodies Lichen planusCoccoid X bodiesPsittacosisCouncilman bodies HepatitisCreola bodies Asthma Donovan bodies Granuloma inguinale Ferruginous body AsbestosisGamma gandy bodies Congestive splenomegaly Guarnieri bodies VacciniaHeinz bodiesG6PD deficiency Henderson Peterson bodiesMolluscum contagiosum Hirano bodies Alzheimer's disease Keratin pearls Squamous cell carcinoma Lafora body Myoclonic epilepsy Leishman Donovan bodies Kala - azarLevinthal Coles Lile bodiesPsittacosisLewis bodies Parkinsonism Mallory bodies Primary biliary cirrhosis , Alcoholic hepatitis , Wilson's disease , Chronic cholestasis , Hepatocellular carcinoma Michaelis Gutmann body Malacoplakia Miyagawa's corpuscles Buboes from LGV Mooser bodies Endemic typhusMoot bodiesMultiple myeloma Owl - eye inclusions CMV and herpes Pick body Pick's disease Psammoma bodies Papillary carcinoma of thyroid , serous cystadenoma of ovary , meningioma , mesothelioma Reilly bodies Hurler's syndrome Rokitansky bodiesTeratoma Ross's bodies SyphilisRushton bodies Odontogenic cyst Russell bodies Multiple myeloma Sandstorm bodies Parathyroid glandsSchaumann bodies Sarcoidosis Schiller Duval bodies Yolk sac tumourSclerotic bodies ChromoblastomycosisTorres body Yellow fever Verocay bodies SchwannomaWarthin - Finkeldey giant cells Measles Winkler bodies SyphilisZebra bodies Metachromatic leukodystrophy